A young person was brought by police from the railway platform. He is talking irrelevant. He is having dry mouth with hot skin, dilated pupils, staggering gait and slurred speech. The most probable diagnosis is:
1. Alcohol intoxication
2. Carbamates poisoning
3. Organophosphorous poisoning
4. Datura poisoning

Correct answer: 4. Datura poisoning

Explanation: This young person with dry mouth with hot skin, dilated pupils, staggering gait and slurred speech and irrevelant talking suggestive of Datura poisoning. These symptoms are described as: "Dry as a bone, Red as a beat, Blind as a bat, Hot as a hare, and Mad as a wet hen". Ref: The Essentials of Forensic Medicine and Toxicology By K S Narayan Reddy, 27th Edition, Pages 458, 461, 502, 503, 532